Acanthosis with intraepithelial vacuolation and hyperpara keratosis is seen in:
1. Hairy tongue (Lingua villosa)
2. Hyperplastic candidiasis
3. Speckled leukoplakia
4. Desquarnative gingivitis

Correct answer: 3. Speckled leukoplakia